Regarding typhoid ulcer, all of the following are true except:
1. Perforation is common
2. Obstruction results due to stricture formation
3. Bleeding is usual
4. Ileum is the common site

Correct answer: 2. Obstruction results due to stricture formation

Explanation: Ans. B: Obstruction results due to stricture formation Typhoid ulcers may bleed or perforate, usually during lysis. Most perforations are near the ileocecal valve, measure less than 1 cm across, and lead to peritonitis. These areas become repopulated with lymphoid cells and heal without scarring.